Not true about ciliary body:
1. Located at 10 mm from corneo-scleral junction.
2. Consists of pars plana and pars plicata.
3. Contraction of ciliary body helps in accommodation.
4. Secretes aqueous Humor.

Correct answer: 1. Located at 10 mm from corneo-scleral junction.

Explanation: Ciliary body is 3 mm from limbus and not 10 mm from limbus. Ciliary Body It consists of pars plana and pars plicata. Main role of ciliary body is accommodation. Secretes aqueous humor. Rate of formation of Aqueous humor is 2.75 microliter/min. Blood supply- Posterior ciliary artery.